All are true about rheumatoid arthritis, except
1. More common in females
2. Elevated CRP
3. Asymmetrical joint envolvement
4. Associated with Fetty's syndrome

Correct answer: 3. Asymmetrical joint envolvement